A 45 years old man with AIDS presents with misperception, tiredness and memory loss. Which imaging feature favours a diagnosis of progressive multifocal leukoencephalopathy over HIV encephalopathy?
1. Mass effect present
2. Contrast enhancement
3. Bilateral symmetrical periventricular lesions
4. Bilateral asymmetrical peripheral subcortical lesions.

Correct answer: 4. Bilateral asymmetrical peripheral subcortical lesions.

Explanation: HIV encephalopathy: Mild cerebral atrophy and diffuse symmetrical periventricular and deep white matter T2/FLAIR abnormality. PML: deep white matter altered signals that display low signal in T1, bright signal in T2 and FLAIR without significant enhancement after contrast administration. PML is favoured over HIV encephalopathy when- Rapid progression of lesions. Hypointensity on T1 sequence. Involvement of subcortical U fibres Asymmetrical lesions Relative sparing of periventricular white matter